Treatment of Acute Myositis Ossificans is
1. Active mobilization
2. Passive mobilization
3. Infra Red Therapy
4. Immobilization

Correct answer: 4. Immobilization

Explanation: D i.e. Immobilization